Microscopic examination of a specimen shows 'Schiller-Duval bodies'. This most probably will have:
1. Seminoma
2. Choriocarcinoma
3. Yolk sac tumor
4. Embryonal carcinoma

Correct answer: 3. Yolk sac tumor

Explanation: Yolk sac tumor only occurs as a pure tumor in young males (at about 3 years of age). In adults, yolk sac tumors are part of mixed germ cell tumors. One characteristic feature of yolk sac tumor is Schiller-Duval bodies, which resemble endodermal sinuses. Schiller-Duval bodies have a capillary at the core and are surrounded by a visceral and a parietal layer (i.e., resemble primitive glomerulus). Ref: Wyatt C., Butterworth IV J.F., Moos P.J., Mackey D.C., Brown T.G. (2008). Chapter 17. Pathology of the Male and Female Reproductive Tract and Breast. In C. Wyatt, J.F. Butterworth IV, P.J. Moos, D.C. Mackey, T.G. Brown (Eds), Pathology: The Big Picture.